Low creep values of high copper amalgams increase its
1. Solubility
2. Corrosion
3. Brittleness
4. Hardness

Correct answer: 3. Brittleness